All are congenital myopathies EXCEPT:
1. Nemaline myopathy
2. Central core disease
3. Centronuclear myopathy
4. Mitochondrial

Correct answer: 4. Mitochondrial

Explanation: Congenital myopathies: non-progressive congenital neuromuscular disorders, include: Central core disease Nemaline myopathy Myotubular (centronuclear) myopathy Congenital fiber- type disproportion